House Brackmann scale is for which nerve?
1. Facial nerve
2. Trigeminal
3. Optic
4. Hypoglossal

Correct answer: 1. Facial nerve